Which of the following is the respiratory centre of cell?
1. Mitochondria
2. Lysosome
3. Microsome
4. Nucleus

Correct answer: 1. Mitochondria

Explanation: Ans. is 'a' i.e., Mitochondria* As mitochondria harbours the electron transport chain. In electron transport chain, the electrons from NADH and FADH2 are transferred through the various complexes to finally Oxygen. Oxygen is then converted to water. This way all fuels get oxidised to Carbondioxide. In other words in miotochondria, Oxygen is utilised and Carbon dioxide generation is supported. Hence it is called as the respiratory centre of the cell.* Lysosome is called as SUICIDAL BAG of a cell. As lysosomes are membrane bound organelles which are filled with enzymes capable of digesting all macromolecules including lipids, proteins, carbohydrates and polynucleotide chains. Their main purpose is to digest the contents of endocytotic vesicles. But if there is cellular derangement the lysosomal enzymes are capable of destroying the very same cell from which they are released and hence the name.